Analysis done for the expenditure of large proportion for a small number and vice versa?
1. ABC
2. SDE
3. VED
4. FSN

Correct answer: 1. ABC

Explanation: ABC analysis is popularly known as "Always Better Control" is a very useful approach to material management based on Pareto's principle of "Vital few and trivial many" based on the capital investment of the item. According to Pareto's theory O10% items consume about 70 % of the budget (Group A). OThe next 20% consume 20 % of financial resources (Group B) andOremaining 70 % items account for just 10% of the budget (Group C).